Spinal cord ends at the level of
1. LI vertebra
2. L2 vertebra
3. SI vertebra
4. L3 vertebra

Correct answer: 1. LI vertebra

Explanation: (A) L1 vertebra # Spinal cord:> At birth, spinal cord terminates at lower border of L2.> In Adults, it extends from the level of the upper border of the atlas to the lower border of vertebra L1, or the upper border of vertebra L2.> Spinal cord is about 45 cm long.> Spinal cord extends from the level of the upper border of the atlas to the lower border of L1 vertebra or the upper border of L2 vertebra. It is about 45 cm long.> The lower end is conical and is called conus medullaris.> The apex of the conus is continued down as the filum terminate> There are 31 pairs of spinal nerves.